Only nitrate not undergoing first pass metabolism is
1. Nitroglycerin
2. Isosorbide dinitrate
3. Isosorbide mononitrate
4. None of the above

Correct answer: 3. Isosorbide mononitrate

Explanation: Isosorbide mononitrate does not undergo first pass metabolism.